Which of the following is most likely to be the cause of painful third nerve palsy of sudden onset in a man of 40
1. Rupture of an infraclinoid aneurysm
2. Sphenoidal ridge meningioma
3. Diabetes mellitus neuropathy
4. Rupture of a supraclinoid aneurysm

Correct answer: 4. Rupture of a supraclinoid aneurysm

Explanation: Ans. Rupture of a supraclinoid aneurysm